Which of the following factor influence the progress of labor?
1. Parity
2. BMI
3. Fetal position
4. All the above

Correct answer: 4. All the above

Explanation: Factors effecting the progress of labour : Parity of female CPD BMI Gestational age Fetal sex Twin pregnancy Ref: Fernando Arias 4e pg 338.